Which of the following subtype has the strongest association with HIV in Hodgkin lymphoma ?
1. Lymphocyte-rich
2. Lymphocyte-depleted
3. Nodular lymphocyte-predominant
4. Nodular sclerosis

Correct answer: 2. Lymphocyte-depleted

Explanation: Lymphocyte-depleted Hodgkin lymphoma : It has the strongest association with the HIV. Lymphocyte depletion Hodgkin lymphoma occurs predominantly in older adults, in HIV-positive individuals of any age Least common subtype of HL Diffuse subtype of classic Hodgkin lymphoma (CHL) rich in Hodgkin Reed-Sternberg (HRS) cells or depleted in non-neoplastic lymphocytes. Advanced stage and systemic symptoms are frequent Worst Prognosis.